Which of the following inhibits Na+-K+2Cl- cotransport?
1. Mannitol
2. Carbonic anhydrase inhibitor
3. Thiazide
4. Loop diuretic

Correct answer: 4. Loop diuretic

Explanation: Potassium-sparing diuretics act by either antagonizing the action of aldosterone (spironolactone) or by inhibiting Na+ reabsorption in the distal tubules (amiloride). Mannitol is freely filtered at the glomerulus, but in contrast to glucose is not reabsorbed and produces an osmotic diuresis. Clinically it is used to treat cerebral edema and in prerenal azotemia to convert oliguric acute renal failure to non-oliguric acute renal failure. Thiazides inhibit Na+ and K+ reabsorption in the distal tubule and loop diuretics (furosemide, ethacrynic acid) inhibit the Na+-K+-2Cl+ cotransporter in the ascending loop of Henle. Ref: Ives H.E. (2012). Chapter 15. Diuretic Agents. In B.G. Katzung, S.B. Masters, A.J. Trevor (Eds), Basic & Clinical Pharmacology, 12e.